A 45-year-old man is admitted to the hospital after a car crash. Radiographic examination reveals mild disk herniations of C7, C8, and T1. The patient presents with a sensory deficit of the C8 and T1 spinal nerve dermatomes. The dorsal root ganglia of C8 and T1 would contain cell bodies of sensory fibers carried by which of the following nerves?
1. Medial antebrachial cutaneous nerve
2. Long thoracic nerve
3. Lateral antebrachial cutaneous nerve
4. Deep branch of ulnar nerve

Correct answer: 1. Medial antebrachial cutaneous nerve

Explanation: The medial antebrachial cutaneous nerve carries sensory fibers derived from the C8 and T1 levels. The lateral antebrachial cutaneous nerve is the distal continuation of the musculocutaneous nerve, carrying fibers from the C5, C6, and C7 levels. The deep branch of the ulnar nerve and the anterior interosseous nerves carry predominantly motor fibers. The sensory fibers coursing in the radial nerve are derived from the C5 to C8 levels.